Severe intellectual disability is
1. 50 - 69
2. 35 - 49
3. 20 - 34
4. Less than 20

Correct answer: 3. 20 - 34

Explanation: Intellectual disability level IQ range Mild 50-69 Moderate 35-49 Severe 20-34 Profound < 20 (Ref: A short textbook of psychiatry, Niraj Ahuja,7th edition, pg no 156)